All of the following criteria are required for diagnosis of obesity hypoventilation syndrome except -
1. Hypertension
2. Sleep disorder breathing
3. BMI 30 kg/m2
4. PaCO2. 45 mmHg

Correct answer: 1. Hypertension

Explanation: Answer- A. HypertensionOHS is defined as daytime hypercapnia and hypoxemia in an obese patient with sleep-disordered breathing in the absence of any other cause of hypoventilation